A 45 year old male has multiple grouped vesicular lesions present on the T10 segment dermatome associated with pain. The most likely diagnosis is
1. Herpes zoster
2. Dermatitis herpetiformis
3. Herpes simplex
4. Scabies

Correct answer: 1. Herpes zoster

Explanation: A i.e. Herpes zoster